Metaphyseal tumor among the following
1. Osteoclastoma in adults
2. Multiple myeloma
3. Osteosarcoma
4. Osteoid osteoma

Correct answer: 3. Osteosarcoma